Hypokalemic Hypertension is a feature of?
1. Bartter syndrome
2. Gitelman syndrome
3. Grave's disease
4. Liddle syndrome

Correct answer: 4. Liddle syndrome

Explanation: Liddle syndrome: Is a defect in aldosterone receptor ENaC which exhibits a reduced degradation and results in channel being in open configuration for a longer duration. This enhances mineralocorticoid action and leads to enhanced urinary loss of potassium. Choice A and B have normal to low BP since both have salt wasting. Grave's will cause hypertension due to intrinsic sympathomimetic action of thyroid hormones. However there is no electrolyte imbalance.